Ankle reflex is mediated by?
1. SI
2. S2
3. L5
4. L4

Correct answer: 1. SI

Explanation: ANSWER: (A) SIREF: Harrisons 18th ed chapter 367Ankle jerk reflex, also known as the Achilles reflex, occurs when the Achilles tendon is tapped while the foot is dorsiflexed. A positive result would be the jerking of the foot towards its plantar surface.The Achilles reflex checks if the SI nerve roots are intact and could be indicative of sciatic nerve pathology. It is classically delayed in hypothyroidism. This reflex is usually absent in disk herniations at the L5--SI level.A reduction in the ankle jerk reflex may also be indicative of peripheral neuropathy.